Sensory innervation of larynx as far as the vocal
folds is by _________ nerve
1. External laryngeal
2. Recurrent laryngeal
3. Internal laryngeal
4. Glossopharyngeal

Correct answer: 3. Internal laryngeal